Commonest site of intraperitoneal abscess is:
1. Lesser sac
2. Greater sac
3. Pelvis
4. Paracolic gutter

Correct answer: 3. Pelvis

Explanation: Commonest site of intraperitoneal abscess is Pelvis. C/F - Pain in lower abdomen , chills and rigor, fever Irritates the rectum - Multiple episodes of loose stool with mucous On digital Rectal exam -Bulge on anterior wall of rectum